Which of the following type of virus is known as Lymphoproliferative virus?
1. Adenovirus
2. Hepatitis A
3. Mumps
4. EB virus

Correct answer: 4. EB virus

Explanation: EBV is known to cause lymphoproliferative disease especially in patients with primary or secondary immunodeficiency. The incidence of these lymphomas is 1% to 2% after renal transplantations and 5% to 9% after heart-lung transplantations. Most of the patients presents with persistent fever, lymphadenopathy, and hepatosplenomegaly. EBV is known to cause infectious mononucleosis, burkitt's lymphoma, nasopharyngeal carcinoma, and in AIDS patients its known to cause hairy leukoplakia of tongue, interstitial lymphocytic pneumonia and lymphoma. In Sub saharan africa Burkitt lymphoma is the most common malignancy in young children. It is thought to result from an early EBV infection that produces a large pool of infected B lymphocytes. It can be diagnosed by presence of increased IgA antibody levels to both VCA and early EBV antigens. Nasopharyngeal carcinoma is endemic in Southern China, where it is responsible for 25% of mortality from cancer. Ref: Ray C.G., Ryan K.J. (2010). Chapter 14. Herpesviruses. In C.G. Ray, K.J. Ryan (Eds), Sherris Medical Microbiology, 5e. Ray C.G., Ryan K.J. (2010). Chapter 14. Herpesviruses. In C.G. Ray, K.J. Ryan (Eds), Sherris Medical Microbiology, 5e.